Which of the following is a graft used for reconstruction of ramus and condyle unit, but without growth center in it:
1. Costocondral graft.
2. Calvarial graft.
3. Sternoclavicular graft.
4. Metatarsal head graft.

Correct answer: 2. Calvarial graft.

Explanation: Grafts with growth centre is recommended in children.